Mark the true statement regarding use of Lithium in maniac-depressive psychosis?
1. Monotherapy for acute episodes
2. Monitoring of serum concentration is not useful for guiding dose adjustment
3. Can result in leucocytosis
4. Can result in hyperthyroidism on long term use

Correct answer: 3. Can result in leucocytosis

Explanation: Lithium Use : Prophylaxis of mania alone, with sedatives in acute mania. Monitoring of S. concentration is significant to know the toxicity of drug S/E of Lithium Lithium use for a long time causes benign and reversible T-wave flattening Seizures Polyuria and compensatory polydipsia Dermatitis, folliculitis, vasculitis Weight gain